Beta-oxidation is peroxisome is differentiated from that occurring in mitochondria by
1. Acetyl CoA
2. H2O2  formed
3. Different enzymes are found in different sites
4. NADH is required

Correct answer: 2. H2O2  formed

Explanation: H2O2 formed 

A modified form of [β -oxidation is found in peroxisomes and leads to formation of acetyl CoA and Hp, (instead of FADH, which is formed in mitochondrial [β -oxidation).
The system facilitates oxidation of very long chain fatty acids.